Fastest acting agent –
1. Sevoflurane
2. Desflurane
3. Isoflurane
4. None

Correct answer: 2. Desflurane

Explanation: Desflurane has least B : G partition coefficient → fastest induction.